Which of the following is a specific marker for ewings sarcoma?
1. CD 45
2. CD 99
3. HMB-45
4. CD1a

Correct answer: 2. CD 99

Explanation: CD 99 (MIC 2 ) is a specific marker for ewings sarcoma